Radiological sign of spondylolysis is
1. Napoleon's hat sign
2. 'Scottsh dog with collar' sign
3. Winking owl sign
4. 'Cap' sign

Correct answer: 2. 'Scottsh dog with collar' sign

Explanation: Spondylolysis is a defect or fracture of the pars interarticularis. On the "Scotty dog" view, it is seen as a band of radiolucency through the "neck," like a collar. Ref: Maheshwari 6e pg 224,262,284.